Main inflammatory mediator in anaemia of chronic disease
1. IL - 1
2. IL - 2
3. IL - 6
4. IFN - Y

Correct answer: 3. IL - 6

Explanation: IL - 6 Stimularte incresed hepatic production of hepcidin.